Which of the following can be given in hepatic as well as in renal failure -
1. Atracurium
2. Vecuronium
3. Pancuronium
4. Miyacurium

Correct answer: 1. Atracurium